The number of branches of the internal carotid artery in the neck is:
1. None
2. One
3. Two
4. Four

Correct answer: 1. None